The oral epithelium is attached to the enamel via
1. Reticular fibers
2. Collagen fibers
3. Hemidesmosomes
4. Desmosomes

Correct answer: 3. Hemidesmosomes